Ollendorff sign is seen in -
1. Primary syphilis
2. Secondary syphilis
3. Latent syphilis
4. Neurosyphilis

Correct answer: 2. Secondary syphilis

Explanation: PRIMARY SYPHILIS:- Primary chancre is a single,well circumscribed,painless ulcer with a clean floor and hard,indurated base on palpation. Hence it is called hard chancre. Occurs in genitals,perineal/perianal areas. Kissing ulcers can occur on the urethral meatus and coronal sulcus. An ulcer at the hilt of the shaft is called condom chancre. Extragenital sites include rectum , lips,oral mucosa, face, breasts etc.. SECONDARY SYPHILIS:- Generalised rashes. Lymphadenopathy.' General symptoms-malaise,headache,sore throat fever and weakness. Rashes- non pruritic and involve the forms- 1. Macular- faint copper red macules minicking roseola. 2. Papulosquamous and papular-skin copper coloured, round to oval shaped papules with or without scaling.Tenderness seen on applying pressure with blunt side of a pin over the papule. This is called 'Buschke-ollendorf sign' and indicates deep dermal tenderness. 3. Corona veneris-papules forming a line along the hair margin over the forehead. 4. Flat topped moist white papules and plaques- condyloma lata. 5. Split papule seen at angle of mouth and mucocutaneous junction. 6. Pustular-lues maligna. 7. Nodular 8. Oral and genital mucosa-serpiginous ulcers described as snail track ulcers. 9. Patchy hair loss - moth eaten alopecia. 10. Generalised lymphadenopathy. 11. Systemic manifestation- hepatitis, uveitis,arthritis. LATENT SYPHILIS:- No evidence of clinically active disease. TERTIARY DISEASE:- Gumma formation . {Reference: IADVL textbook of dermatology, vishalakshi Vishwanath pg no.124.}